Resistance to zidovudne develops due to:
1. Mutation at reverse transcriptase
2. Increased efflux of the drug from inside the cell
3. Increased metabolism of the drug
4. Decreased zidovudine 5 triphosphate formation

Correct answer: 1. Mutation at reverse transcriptase

Explanation: Zidovudine;It is a thymidine analogue (azidothymidine, AZT), the prototype NRTI. After phosphorylation in the host cell-zidovudine triphosphate selectively inhibits viral reverse transcriptase (RNA-dependent DNA polymerase) in preference to cellular DNA polymerase Resistance to AZT occurs by point mutations which alter reverse transcriptase enzyme. ESSENTIALS OF MEDICAL PHARMACOLOGY K.D.TRIPATHI SIXTH EDITION PAGE NO:770